Koenen's periungal fibroma is seen in -
1. Tuberous sclerosis
2. Neurofibromatosis
3. Psoriasis
4. Alopecia aerata

Correct answer: 1. Tuberous sclerosis

Explanation: periungual fibroma are skin colored papules that grow outwards from the proximal nail fold seen in tuberous sclerosis . page no. 325 Reference Harrison20th edition